Cystic degeneration is seen commonly in
1. Submucous fibroid
2. Subserosal fibroid
3. Interstitial fibroid
4. Cervical fibroid

Correct answer: 3. Interstitial fibroid

Explanation: Cystic degeneration is seen commonly seen in interstitial fibroid.